Transport media for streptococcus pyogenes?
1. Pike's media
2. Cary blair media
3. Stuart's media
4. Sach's buffered glycerol saline.

Correct answer: 1. Pike's media

Explanation: Transport media
V-R media → V.Cholerae
Cary Blair Media → V.Cholerae
Pike's media → Streptococcus pyogenes
Stuart's media → Gonococci and Meningococci
Sach's buffered glycerol saline → Shigella